Thalidomide can be used in :
1. Myocardial infarction
2. Erythema nodosum leprosum
3. Wernicke's encephalopathy
4. Epilepsy

Correct answer: 2. Erythema nodosum leprosum